Adverse effect of Tacrolimus include all of the following, EXCEPT:
1. Neurotoxicity
2. Nephrotoxicity
3. Diabetes
4. Hirsutism

Correct answer: 4. Hirsutism

Explanation: Tacrolimus causes Neurotoxicity (tremors, seizures, hallucination and coma), Nephrotoxicity and precipitates diabetes and can cause alopecia and diarrhea, but does not cause hirsutism. Ref: Harrison's Principles of Internal Medicine, 17th Edition, Page 1987; Lippincott's Illustrated Reviews: Pharmacology, 4th Edition, Pages 413, 489, 498